The most important source of infection for meningococci -
1. Case
2. Subclinical case
3. Carriers
4. Latent case

Correct answer: 3. Carriers